Vandemataram clinics are associated with which of the following programmes?
1. RNTCP
2. RCH
3. NLEP
4. NAMP

Correct answer: 2. RCH

Explanation: Vandemataran clinic is a voluntary scheme under RCH wherein any doctor/ clinic or nursing home may volunteer to provide safe motherhood services. Ref: Park 21st edition, page 413.